Right adrenal vein drains into
1. Left renal vein
2. IVC
3. External iliac vein
4. Internal iliac vein

Correct answer: 2. IVC

Explanation: The Suprarenal veins or (Veins of Walshaw) are two in number: the right ends in the inferior vena cava. the left ends in the left renal vein. ref - BDC 6e vol2 pg328